A young adult presents with proximal weakness of upper limbs, features of facial palsy and winging of scapula. The most likely diagnosis is-
1. Facio-Scapulo-Humeral Dystrophy
2. Limb-Girdle Dystrophy
3. Scapuloproneal Dystrophy
4. Duchene Muscular Dystrophy

Correct answer: 1. Facio-Scapulo-Humeral Dystrophy

Explanation: *Condition typically has an onset in childhood or young adulthood., facial weakness is initial manifestation,weakness of shoulder girdle,loss of scapular stabilizing muscles makes arm elevation difficult,scapular winging becomes apparent with attempts at abduction and forward movement Ref Harrison20th edition pg 2567